National Tuberculosis institute is in
1. Chennai
2. Bangalore
3. Agra
4. Bhopal

Correct answer: 2. Bangalore

Explanation: National Tuberculosis institute - Bangalore.
National institute for research in Tuberculosis - Chennai.